Which one of the following methods for induction of labour should not be used in patient with previous lower segment caesarean section?
1. Prostaglandin gel
2. Prostaglandin tablet
3. Stripping of the membrane
4. Oxytocin drip

Correct answer: 2. Prostaglandin tablet

Explanation: Ans. is b, i.e. Prostaglandin tabletRef Dutta Obs. 7/e, p 524; Fernando Arias 3/e, p 286Prostglandin tablet is misoprostol (PGE1 ) which is contraindicated in women with previous cesarean births.MisoprostolIt is an analogue of Prostaglandin E1 .Indications:Medical abortion in the first trimester of pregnancy.Evacuation of uterus in case of anembryonic pregnancies or early fetal demise.Ripening of cervix prior to second trimester abortions.Ripening of cervix and induction of labour in term pregnancies.For treatment and prevention of postpartum bleeding.Pharmakokinetics:It is available in tablet form.Metabolized in liver.Complication:Nausea, vomiting, diarrhea.Uterine hyperstimulation.TachysystoleMeconium passagePossibly uterine ruptureContraindication:Women with previous uterine surgery particularly cesarean section.